Optic tract lesions presents with
1. Bitemporal hemianopia
2. Binasal hemianopia
3. Homonymous hemianopia
4. Superior quadrantic

Correct answer: 3. Homonymous hemianopia

Explanation: (C) Homonymous hemianopia SITES OF LESIONS CLINICAL FEATURES* Optic NerveComplete loss of vision* Optic tractHomonymous hemianopia* Optic radiationComplete homonymous hemianopia* Proximal part of optic NerveIpsilateral blindness with contralateral hemianopia* Occipital lobeHomonymous hemianopia (usually sparing the macula)* Sagittal lesion of chiasmaBitemporal hemianopia* Lateral optic chiasmaBinasal hemianopia* Temporal lobeQuadrantic homonymous defect> Binasal hemianopia produced due to lesion in Lateral optic chiasma.> LGB lesion produce Homonymous hemianopia with sparing of pupillary reflex.